Which of the following is not a branch of the posterior cord of brachial plexus?
1. Thoracodorsal nerve
2. Axillary nerve
3. Lower subscapular nerve
4. Ulnar nerve

Correct answer: 4. Ulnar nerve

Explanation: Ans:D.)Ulnar Nerve.Cords of Branchial Plexus: LATERAL CORDLATERAL PECTORAL NERVEC5,C6,C7PECTORALIS MAJOR -LATERAL CORDMUSCULOCUTANEOUS NERVEC5,C6,C7CORACOBRACHIALIS , BRACHIALIS, BICEPS BRACHIILATERAL CUTANEOUS OF FOREARMLATERAL CORDLATERAL ROOT OF MEDIAN NERVEC5,C6,C7FIBERS TO MEDIAN NERVE(Flexion muscle) -POSTERIOR CORDUPPER SUBSCAPULAR NERVEC5,C6SUBSCAPULARIS (UPPER PART) -POSTERIOR CORDTHORACODORSAL NERVEC6,C7,C8LATISSIMUS DORSI -POSTERIOR CORDLOWER SUBSCAPULAR NERVEC5,C6SUBSCAPULARIS(LOWER PART),TERES MAJOR -POSTERIOR CORDAXILARY NERVEC5,C6ANT. BRANCH:DELTOIDPOST. BRANCH:TERES MINOR, DELTOID POST BRANCH - UPPER LATERALCUTANEOUS NERVE OF ARMPOSTERIOR CORDRADIAL NERVEC5,C6,C7,C8,T1 TRICEPS BRACHII,SUPINATOR, ANCONEUSEXTENSOR OF FOREARM, BRACHIORADIALIS POSTERIOR CUTANEOUS NERVE OF ARMMEDIAL CORDMEDIAL PECTORAL NERVEC8,T1 PECTORALIS MAJOR,PECTORALIS MINOR -MEDIAL CORDMEDIAL ROOT OF MEDIAN NERVEC8,T1FIBERS TO MEDIAN NERVE( Flexion muscle)PART OF HAND NOT SUPPLIEDBY ULNAR OR RADIALMEDIAL CORDMEDIAL CUTANEOUS NERVE OF ARMC8,T1 -FRONT AND MEDIAL SKIN OF ARMMEDIAL CORDMEDIAL CUTANEOUS NERVE OF ARMC8,T1 -MEDIAL SKIN OF FOREARMMEDIAL CORDULNAR NERVEC8,T1FLEXOR CARPII ULNARIS, 2 MEDIAL BELLIESOF FLEXOR DIGITORUM PROFUNDUS,INTRINSICHAND MUSCLE EXCEPT THENAR,2 LATERAL MOST LUMBRICUSSKIN OF MEDIAL SIDE OF HANDMEDIAL 1/2 FINGERS ON PALMAR SIDE, MEDIAL 21/2FINGER ON DORSAL SIDE